Which of the following anticancer drugs is cell cycle specific
1. Ifosfamide
2. Melphalan
3. Vinbalstine
4. Cycloohosphamide

Correct answer: 3. Vinbalstine

Explanation: Refer Katzung 11/e p774 Vinbalstine is a M phase specific vinca alkaloid Whereas Bleomycin acts selectively on G1 phase of cell cycle